Demy el inating neurological lesions in the spinal cord are associated with deficiency of vitamin:
1. B1
2. B3
3. B6
4. B12

Correct answer: 4. B12

Explanation: Ans. D i.e. B12 Subacute combined degeneration of spinal cord/Lichtheim's disease It refers to degeneration of the posterior and lateral columns of the spinal cord as a result ofvitamin B12 deficiency (most common) or vitamin E deficiency. It is usually associated with pernicious anemia.